Most potent stimulator of naive T cells -
1. Mature dendritic cells
2. Follicular dendritic cells
3. Macrophages
4. B cell

Correct answer: 1. Mature dendritic cells

Explanation: Dendritic cells (DCs) are antigen-presenting cells (also known as accessory cells) of the mammalian immune system. Their main function is to process antigen material and present it on the cell surface to the T cells of the immune system. They are called professional antigen presenting cells. Reff: Ananthanarayanan & Panikers textbook of microbiology 9th edition pg: 138